Which of the following is not a framingham major criteria for the diagnosis of heart failure ?
1. Paroxysmal nocturnal dyspnea
2. Cardiomegaly
3. S3 gallop
4. Hepatomegaly

Correct answer: 4. Hepatomegaly